The malunion of Supracondylar fracture of the humerus most commonly involved in ?
1. Flexion defornity
2. Cubitus varus
3. Cubitus valgus
4. Extension deformity

Correct answer: 2. Cubitus varus

Explanation: Cubitus varus also known as gun stock deformity It is the most common complication of Supracondylar fracture of humerus Refer Maheshwari 9th /e p 102